Alpha oxidation of dietary phytanic acid takes place in which of the following cell structures?
1. ER
2. Golgi apparatus
3. Mitochondria
4. Peroxisomes

Correct answer: 4. Peroxisomes

Explanation: Alpha-oxidation takes place in peroxisomes to break down dietary phytanic acid, which cannot undergo beta-oxidation due to its b-methyl branch, into pristanic acid, which can. Alpha oxidation (a-oxidation) is a process by which certain fatty acids are broken down by removal of a single carbon from the carboxyl end.